Investigation of choice for lumbar prolapsed disc
1. X-ray
2. CT Scan
3. MRI
4. Myelogram Patt

Correct answer: 3. MRI

Explanation: Investigation of choice for PID at any level is MRI.